Pressure of normal uterine contractions is between 190-300 units. Which unit is being referred to here?
1. Montevideo units
2. mm of Hg
3. cm of water
4. Joules/kg

Correct answer: 1. Montevideo units

Explanation: Ans. is a, i.e. Montevideo unitsRef Williams Obs, 23/e, p 4371 montevideo unit = Intensity of constraction x number of contractions in 10 mins.Montevideo unit is to define uterine activity.As per this:Clinical labour usually commences when uterine activity reaches values between 80-120 Montevideo units (This translates into approximate 3 contractions of 40 mm of Hg every 10 minutes).During labour--Normal uterine contractions are between 190-300 Montevideo units (At the time of delivery it is 300 Montevideo units)